All of the following vessels supply the duodenum, EXCEPT?
1. Right gastric artery
2. Supraduodenal artery
3. Right gastroepiploic artery
4. None of the above

Correct answer: 4. None of the above

Explanation: The main vessels supplying the duodenum are the superior and inferior pancreaticoduodenal arteries. The first and second parts also receive contributions from several sources including the right gastric artery, the supraduodenal artery, the right gastroepiploic artery, the hepatic artery and the gastroduodenal artery. Branches of the superior pancreaticoduodenal artery may contribute to the supply of the pyloric canal, with some anastomosis in the muscular layer across the pyloroduodenal junction.